Most common presentation of Neurocysticercosis is
1. Seizures
2. Focal neurological deficits
3. Dementia
4. Radiculopathy

Correct answer: 1. Seizures

Explanation: (A) Seizures # Neurocysticercosis:> Symptoms of cysticercosis may include seizures, elevated intracranial pressure (ICR), meningoencephalitis, psychiatric disorder, stroke, and/or radiculopathy or myelopathy, if the spinal cord is involved.> Symptoms are mainly due to mass effect, an inflammatory response, or obstruction of the foramina and ventricular system of the brain.> Most common symptoms include seizures, focal neurologic signs, and intracranial hypertension.> Generally, the patient's history includes exposure to an area where the parasite is endemic and an adolescent- or adult-onset seizure disorder.> Symptoms of hydrocephalus should raise concerns about extraparenchymal disease.> Parenchymal CNS disease Seizures may be focal, focal with secondary generalization, or generalized. Headaches are common and may be migrainelike or tension-type. Neurocognitive deficits, while rare, may include learning disabilities, depression, or even psychosis.> Extraparenchymal disease Most patients present with headaches or symptoms of hydrocephalus. Symptoms of increased ICP may include headache, nausea or vomiting, altered mental status, dizziness, and decreased visual acuity due to papilledema. Patients with numerous cysticerci in the basilar cisterns may present with communicating hydrocephalus, meningismus (without fever), symptoms of lacunar infarcts due to small-vessel vasculitis, or symptoms of large-vessel infarcts due to cysticercal erosion into major arteries or severe inflammation of those arteries. Patients with spinal cysticerci typically present with radicular symptoms, but rarely with motor or sensory deficits traceable to a spinal level. Patients with ocular cysticerci report visual changes.> Spinal cord involvement Radiculopathy Myelopathy> Other Meningoencephalitis Stroke (in young adults) Subcutaneous nodules Ocular cysts> "These is wide variety of presentation of Neurocysticercosis depending on the intensity of the infestation, the localization o: cystecerci and the degree of inflammatory reaction.> Epilepsy (seizure activity) is the most common manifestation occuring in up to 50% cases.> Cysticercosis is infection with the larval stage (cysticercus) of T. solium.> These cysts are located in order of frequency in : CNS (Neurological manifestations are the most common) Subcutaneous tissue Striated muscle Globe of the eye> Most common cause of sporadic viral encephalitis HSV-I> Most common cause of epidemic viral encephalitis Arbovirus> Most common cause of viral meningitis is Enterovirus.